True statement about inheritance of an X linked recessive trait is -
1. 50% of boys of carrier mother are affected
2. 50% of girls of diseased fathers are carriers
3. Father transmits disease to the son
4. Mother transmits the disease to the daughter

Correct answer: 1. 50% of boys of carrier mother are affected

Explanation: Ans. (a) 50% of boys of carrier mother are affected(Ref: Robbins 9th/pg 141; 8th/pg 141)In a X linked recessive disorder, if father is normal & mother is a carrier:In such a situation,50% of the sons are affected50% of daughters are carriers, but none of the daughters are affectedMother transmits the disease to the sonsIn a X linked recessive disorder, if father is affected & mother is normal:In such scenario,100% of daughters are carriersFather transmits the disease to the daughters and not to sons, as all sons of an affected father are normal